The hair examination is important for the following cases except
1. To find out its origin
2. To find the accused or victim
3. In case of sexual assault
4. In case of non-metallic poisoning

Correct answer: 4. In case of non-metallic poisoning

Explanation: In rape (and in other sexual offences, if necessary) cases, loose (transferred) pubic hair should be collected from the victim and the accused. In metallic poisoning, hairs are assessed. In identification, genetic studies hair is collected. Ref: Krishan Vij textbook of forensic medicine, 5th edition pg : 53 , 304